Infertility is a common feature in "Sertoli cell only" syndrome because
1. Too many Sertoli cells inhibit spermatogenesis via inhibin
2. Proper blood-testis barrier is not established
3. There is no germ cells in this condition
4. Sufficient numbers of spermatozoa are not produced

Correct answer: 3. There is no germ cells in this condition

Explanation: Ans. is 'c' i.e. There is no germ cells in this condition 'Sertoli cell only syndrome is another name for Germ cell aplasia.In this condition seminiferous tubules are smaller than normal and are lined by a single layer of Sertoli cells. There are no germ cells lining the seminiferous tubules.Absence of germ cells leads to absence of spermatogenesis because spermatogenesis begins from primitive germ cells, leading to infertility.